A 2 day old newborn girl born out of non-consanguinous marriage was evaluated for tense blister and areas of denuded skin that had been present since birth. The child develops while mother handles for bathing and feeding. The sibling of child also had h/o developing similar lesions.
1. Congenital syphilis
2. Congenital epidermolysis bullosa
3. LCH
4. Congenital bullous icthyosiform erythroderma

Correct answer: 2. Congenital epidermolysis bullosa

Explanation: B i.e. Congenital Epidermolysis bullosa